Sectoral sign is positive in -
1. Avascular necrosis of femur head
2. Osteoarthritis of btp
3. Protrusio acetabuli
4. Slipped capita! femoral epiphyses

Correct answer: 1. Avascular necrosis of femur head

Explanation: Ans. is 'a' i.e.. Avascular necrosis of femur headClinical features of AVNo In the earlier stages of AVN, the patient is asymptomatic, and by the time patient presents, the lesion is well advanced.o Common histories patient gives (Any of the following) : -i ) Dislocation of HipAlcoholismSteroid intake for any disorderNephrotic syndromeo Pain is a common complaint. Pain is felt in the grain and may radiate to knee,o Decreased range of motion especially internal rotation followed by abduction.o Sectoral sign or Differential rotation : - Internal rotation is possible in extended position of hip, but as seen as the hip is flexed to 90deg no internal rotation is possible. This is the characteristic sign of AVN.o Limp with antalgic gaito Trendelenberg's test positive.